Hereditary fructose intolerance is due to deficiency of:
1. Aldolase B
2. Aldolase A
3. Fructokinase
4. Sucrase

Correct answer: 1. Aldolase B

Explanation: Ans. A. Aldolase B(Ref: Nelson 20/e Chapter Defects in Metabolism of Carbohydrates)Heriditary fructose intolerance due to deficiency of Aldolase BEssential fructosuria due to deficiency of fructokinase